All of the following structures are related to Left Ureter except
1. Genitofemoral nerve
2. Testicular vessels
3. Root of the mesentery
4. Sigmoid colon

Correct answer: 3. Root of the mesentery

Explanation: The root of Mesentery related to the right ureter.The root of the mesentery extends from the duodenojejunal flexure on the left side of vertebra L2 to the upper part of the right sacroiliac joint. It crosses the following structures:The third part of the duodenum where the superior mesenteric vessels enter into it;The abdominal aorta;The inferior vena cava;The right ureter; andThe right psoas major.BDC 6e vol 2 pg:236